Presence of more than two germ cell layer in a tumor is called :
1. Dysgerminoma
2. Teratoma
3. Theca cell tumor
4. Seminoma

Correct answer: 2. Teratoma

Explanation: Teratoma